H1N1 Is a type of?
1. SARS virus
2. Influenza type A virus
3. Influenza type B virus
4. Influenza type C virus

Correct answer: 2. Influenza type A virus

Explanation: H1N1 include influenza virus types REF:
ANATHANARAYANAN MICROBIOLOGY NINTH EDITION PAGE.499(table.54.2)